A 12-year-old child presents with tingling sensation and numbness in the little finger and gives a history of fracture in the elbow region 4 years back. The probable fracture is -
1. Lateral condyle fracture humerus
2. Injury to ulnar nerve
3. Supracondylar fracture humerus
4. Dislocation of elbow

Correct answer: 1. Lateral condyle fracture humerus

Explanation: Similar to previous question, the child is presenting with tardy ulnar nerve palsy.
Here the age of child at the time of injury to elbow is 8 years (child is 12 years old and he/she sustained injury 4 years back).
So, age group matches with lateral condyle fracture (5-10 years).
About option 'b'
Ulnar nerve injury due to trauma will present immediately not after 4 years.